5 g mannitol was injected intravenously. 40% of mannitol is excreted. After equilibrium, plasma concentration of mannitol is 30 mg%. Calculate extracellular fluid volume.
1. 10 L
2. 14 L
3. 18 L
4. 24 L

Correct answer: 1. 10 L

Explanation: The volume of water in different compartment can be measured by volume of distribution principle (indicator dilution principle). Where v = Volume of fluid Q = Quantity of indicator given C = Concentration of the indicator e = The amount of indicator which has either been lost or metabolized 30 mg% = 30 mg/ 100 mL = 300 mg/ L = 0.3g/L Quantity of mannitol excreted = 5 * 40/100 = 2 g ECF volume = 5 - 2 / 0.3 = 3 / 0.3 = 10 L